All of the following are associated with increased aging, except
1. Decreased cellular replication
2. Increased superoxide dismutase
3. Increased accumulation of free radicals
4. Accumulated mutation in somatic cells

Correct answer: 2. Increased superoxide dismutase

Explanation: Cellular aging is the result of a progressive decline in the lifespan and functional capacity of cells. Several mechanisms are thought to be responsible for cellular aging areDNA damage. A variety of metabolic insults that accumulate over time may result in damage to nuclear and mitochondrial DNA.Decreased cellular replication.Defective protein homeostasis( Robbins Basic Pathology, 9th edition, page 26 )